Opioid secreted from anterior pituitary?
1. b endorphin
2. GH
3. ACTH
4. MSH

Correct answer: 1. b endorphin

Explanation: (A) b endorphin# Pro-opiomelanocortin, a large precursor molecule found in anterior and intermediate lobes of pituitary gland and brain, contains b-endorphin, a polypeptide of 31 AA residues, that has met enkephalin at its amino terminal.> There are separate enkephalin secreting and fi-endorphin secreting systems of neurons in brain.> b-endorphin is also secreted into the bloodstream by pituitary gland.